Stain used for staining fungal elements ?
1. Acid fast stain
2. Mucicarcmine
3. Methanamine silver
4. Gram stain

Correct answer: 3. Methanamine silver

Explanation: Ans. is 'c' i.e., Methanamine silver . Routinely used stains for the demonstration fo fungal elements in tissue sections are : - i) Methenamine silver ii) Periodic acid schiff (PAS)